A 21 years old female was brought to psychiatry opd by her parents. According to mother, patient for last one month has been complaining that the neighbours are trying to record her activities and that they have put a camera in her room. She further says that two neighbourhood aunts keep on talking about her and make vulgar comments about her. Mother said that she has never heard any such voice and there house is quite separated from neighbours and its impossible that any voice can come to their house. However, patient insists that people are talking about her and some conspiracy is being hatched about her. The patient was diagnosed with schizophrenia and she was put on risperidone 3 mg/day. Patient showed significant improvement in her symptoms however on follow up she complained of milky discharge from nipples. Which of the following brain pathway is responsible for this side effect?
1. Mesolimbic tract
2. Mesocortical tract
3. Tubero-Infundibular tract
4. Cortico-striato-thalamic tract

Correct answer: 3. Tubero-Infundibular tract

Explanation: The patient has developed antipsychotic induced hyperprolactinemia which is manifesting as galactorrhea. Blocakde of dopamine receptors by antipsychotics in tuberoinfundibular pathway causes hyperprolactinemia Aripiprazole is a partial D2 agonist, it is unlikely to cause hyperprolactinemia. Hence, it can be used for treatment.